Which of the following is not a typical feature of malignant Otitis externa:
1. Caused by Pseudomonas aeruginosa
2. Patients are usually old
3. Mitotic figures are high
4. Patient is immunocompromised

Correct answer: 3. Mitotic figures are high

Explanation: (c) Mitotic figures are high(Ref. Scott Brown, 8th ed., Vol 2; 1420)High mitotic figures are suggestive of a malignant condition. Malignant Otitis externa is not a malignancy but an infective and locally invasive condition.